Which of the following results in thirst?
1. Cardiac failure
2. Decreased plasma levels of angiotensin II
3. Distension of the cardiac atria
4. Distension of the stomach

Correct answer: 1. Cardiac failure

Explanation: Ans. A. Cardiac failurea. Cardiac failure results in a decrease in effective arterial blood volume, which stimulates thirst.b. Because angiotensin stimulates thirst, a low plasma level would have the opposite effect.c. Distension of the atria (increased blood volume) or stomach inhibits thirst. Volume expansion and a low plasma osmolality both inhibit thirst.